Opioid available as nasal spray formulation is ?
1. Tramadol
2. Codiene
3. Butorphanol
4. Buprenorphine

Correct answer: 3. Butorphanol

Explanation: Ans. is'c'i.e., Butorphanol [Ref: KDT 7h/e p. 482)Butorphanol - Nasal spray (Stadol)